Rosette cataract is seen after
1. Blunt trauma to eye
2. Copper foreign body in eye
3. Penetrating injury to eye
4. Infection

Correct answer: 1. Blunt trauma to eye

Explanation: Cataract Features Sunflower Wilson's disease / chalcosis **Keyser - Fleisher ring - characteristic of Wilson's disease Snow flake DM Christmas tree Myotonic dystrophy Oil drop Galactosemia Rosette shapes Blunt trauma Other features of blunt trauma 1. Commotio retina (berlin's edema)- milky white cloudiness involving the posterior pole with a cheer red spot in the foveal region 2. Vossius's ring - circular ring of brown pigment seen on the anterior capsule FABRY's disease Propeller / spoke like Complicated cataract Mostly posterior sub capsular cataract Bread crump appearance Polychromatic lusture Punctate / blue dot cataract M/C congenital cataract in children No loss of vision Atopic dermatitis Shield cataract Anterior sub capsular cataract